In glomerular disease which of the following is mainly excreted in Urine
1. Albumin
2. Globulin
3. Ligh chain
4. Heavy chain

Correct answer: 1. Albumin

Explanation: Normally, the glomerular filtration system is extraordinarily permeable to water and small solutes and almost completely impermeable to molecules of the size and molecular charge of albumin (a 70,000-kDa protein). Ref: Robbins book of pathology. Kumar abbas aster. 9th edition. Page no 518